Blood born metastasis is unusual of -
1. Osteosarcoma
2. Medullary carcinoma breast
3. Chorio carcinoma
4. Renal cell carcinoma

Correct answer: 2. Medullary carcinoma breast

Explanation: Lymphatic or vascular invasion is never seen in medullary Carcinoma of breast.
Osteosarcoma, Choriocarcinoma and RCC metastatize to distant organs by vascular invasion.